Not a feature of heroin (smack) withdrawal -
1. Yawning
2. Muscle cramps
3. Hypersomnia
4. Hypertension

Correct answer: 3. Hypersomnia

Explanation: There is insomnia.